Medical Termination of Pregnancy Act 1971, was amended in 2002 to include
1. Risk to mother’s life as an indication
2. Failure of contraception as an indication
3. ‘Mentally ill’ in place of lunatic
4. POG upto 20 weeks

Correct answer: 3. ‘Mentally ill’ in place of lunatic